Wich one of the following is the most common immunologic type of multiple myeloma?
1. IgG, Kappa light chain
2. IgA, Kappa light chain
3. IgD, Lambda light chain
4. IgM, type

Correct answer: 1. IgG, Kappa light chain

Explanation: On serum electrophoresis the paraprotein usually appears as a single narrow homogeneous M band component most commonly in the region of gamma globulin. Most frequent paraprotein is IgG seen in about 50% cases of myeloma, IgA in 25%and IgD in 1%. About 2/3 rd cases of myeloma excrete Bence Jones proteins in the urine, consisting of either kappa or lambda light chains , along with presence of Bence Jones paraproteins in the serum. Reference : Harsh Mohan textbook of pathology, 7th edition.Pg no.363